The other name for factor X is:
1. Stuart Power factor.
2. Calcium ion.
3. PTC.
4. PTA.

Correct answer: 1. Stuart Power factor.

Explanation: The coagulation factors are numbered in the order of their discovery. There are 13 numerals but only 12 factors. Factor VI was subsequently found to be part of another factor. The following are coagulation factors and their common names:
• Factor I - fibrinogen
• Factor II - prothrombin
• Factor III - tissue thromboplastin (tissue factor)
• Factor IV - ionized calcium ( Ca++ )
• Factor V - labile factor or proaccelerin
• Factor VI – unassigned
• Factor VII - stable factor or proconvertin
• Factor VIII - antihemophilic factor
• Factor IX - plasma thromboplastin component, Christmas factor
• Factor X - Stuart-Prower factor
• Factor XI - plasma thromboplastin antecedent
• Factor XII - Hageman factor
• Factor XIII - fibrin-stabilizing factor